The most strongly implicated premalignant condition of the oral cavity is
1. Fordyce spots
2. Erythroplakia
3. Median rhomboid glossitis
4. Erythema multiforme

Correct answer: 2. Erythroplakia

Explanation: ConditionUsual locationClinical featuresCourseFordyce spotsBuccal and labial mucosaNumerous small yellowish spots just beneath the mucosa; no symptoms; due to hyperplasia of sebaceous glandsbenignErythroplakiaFloor of mouth in men; tongue and buccal mucosa in womenVelvety, reddish plaqueHigh risk for squamous cell cancerMedian rhomboid glossitisMedian posterior portion of tongueCongenital abnormality of tongue with ovoid, denuded areabenignErythema multiformeOral mucosa Intraoral ruptured bullae surrounded by inflammatory areas; lips may show hemorrhagic crustsNot a premalignant condition(Ref: Harrison's 18/e p217, table 32.1-32.4)